Kisselback's plexus is situated on the:
1. Medial wall of the middle ear
2. Lateral wall of the naso-pharynx
3. Medial wall of the nasal cavity
4. Laryngeal aspect of epiglottis

Correct answer: 3. Medial wall of the nasal cavity

Explanation: Ans. C medial wall of nasal cavity Ref. Dhingra 6th/ed p 176 Kiesselbach's plexus is situated in the anterior inferior part of nasal septum (which forms the medrol wall of nose) just above the vestibule.